Osteoporosis is caused by all except ?
1. Fluorosis
2. Hypogonadism
3. Hyperthyroidism
4. Hyperparathyroidism

Correct answer: 1. Fluorosis

Explanation: Ans. is 'a' i.e., Fluorisis